Pilomatrixoma is:
1. a fleshy skin mass
2. a type of skin tag
3. a benign epithelial tumor
4. a malignant skin neoplasm

Correct answer: 3. a benign epithelial tumor

Explanation: Ans. c (a benign epithelial tumor). (Ref. Bailey and Love, 25th/606).Tumors of Hair folliclesPilomatrixoma (calcifying epithelioma of Malherbe)These are benign tumours of hair matrix cells characterised by basaloid and eosinophilic ghost cells. They commonly calcify and 40% are found in the under-10 age group. Treatment may include surgery to remove the mass and some of the surrounding tissue. Pilomatrixoma cysts usually do not regrow.TrichoepitheliomaTrichoepitheliomas are small skin-coloured nodules most often found in the nasolabial fold. Clinically and histologically, they look similar to BCC.Tricholemmoma (naevus sebaceous of Jadassohn)Tricholemmoma is a congenital hamartoma with the appearance of a linear verrucous naevus. These were believed to form BCCs in up to 10% of cases after puberty, but reviewed histology casts doubt on the frequency with which this occurs, although it is recognised that they have an increased potential for malignant change.Adenoma sebaceum (tuberous sclerosis, Bournevilie'sdisease)Typically these are red facial papules (angiofibromas) that are found usually on the nasolabial folds, cheek and chin. They form part of the disease process in tuberous sclerosis. Skin lesions usually appear in children under 10 years of age and increase in size and number until adolescence. Cosmetic removal with carbon dioxide or pulse-dye lasers or scalpel is possible.RhinophymaRhinophyma is an end-stage sequela of acne rosacea. It is hyper- trophy and hyperplasia of the sebaceous glands and tends to affect elderly men (male to female ratio 12:1). Up to 3% of cases may have an occult BCC. Treatment by dermabrasion or laser resurfacing produces good results.